All the following are characteristic of classic tetrad of TOF except
1. Large VSD
2. Aorta that overrides the VSD
3. Severe right ventricle outflow obstruction
4. Left ventricular hypertrophy

Correct answer: 4. Left ventricular hypertrophy

Explanation: Anatomically TOF is characterized by the classic tetrad: Severe right ventricle outflow obstruction, Large VSD, Aorta that overrides the VSD and Right ventricular hypertrophy Reference: Essential Paediatrics; O.P. Ghai; Page no: 420